The Norwalk virus is a
1. DNA virus
2. RNA virus
3. Prion
4. Bacteriophage induced virus

Correct answer: 2. RNA virus

Explanation: Viral gastroenteritis:FamilyVirusViral genomeReoviridaeRotavirusdsRNACalciviridaeNorovirus/Norwalk virusSapovirusss(+)RNAAdenoviridaeAdenovirusdsDNAAstroviridaeAstrovirusss(+)RNACoronaviridaeCoronavirusTorovirusss(+)RNAPicornaviridaeAichi virusss(+)RNAPicobirnaviridaePicobirnavirusdsRNAParvoviridaeBocavirusssDNAParamyxoviridaeHendra virusNipah v irusSs(-)RNA(Ref: Ananthanarayan 9th edition, 562)